Over extension of complete denture for a prolonged period without adjustment may cause.
1. Epulis fissuratum
2. Pyogenic granuloma
3. Papillary hyperplasia
4. Giant cell reparative granuloma

Correct answer: 1. Epulis fissuratum